24 years old male complains of mild urethral mucoid discharge after sexual contact with a sex-worker. Examination is normal. Drug used to treat such a patient:
1. Azithromycin 1 mg single dose
2. Azithromycin 1 mg for 3 weeks
3. Azithromycin 500 mg single dose
4. Azithromycin 1 gram single dose

Correct answer: 4. Azithromycin 1 gram single dose

Explanation: Ans. D i.e. Azithromycin 1 gram single dose The clinical presentation corresponds to a diagnosis of NGLI/ non gonococcal urethritis